All are causing hypothyroidism except:
1. PAS
2. Captopril
3. Lithium
4. Amiodarone

Correct answer: 2. Captopril